Vascular invasion is a characteristic feature of
1. Candidiasis
2. Mucormycosis
3. Blastomycosis
4. Sporotrichosis

Correct answer: 2. Mucormycosis

Explanation: Mucormycosis occurs as a systemic infection following dissemination from a primary focus in the upper respiratory tract or nasal cavity. When the lung is the primary site of infection the fungi may invade the arteries to cause thrombosis and infraction. Ref: Textbook of Microbiology, Ananthanarayan and Paniker; 9th edition